A patient with clustered white lesions on the buccal mucosa opposite the upper 1st and 2nd molars pathognomonic for measles. These are
1. Leukoplakia
2. Koplik spots
3. Kaposi spots
4. None

Correct answer: 2. Koplik spots

Explanation: Koplik's spots: Little spots inside the mouth that are highly characteristic of the early phase of measles (rubeola). The spots look like a tiny grains of white sand, each surrounded by a red ring. They are found especially on the inside of the cheek (the buccal mucosa) opposite the 1st and 2nd upper molars. ref : harrisons 21st ed